Drugs causing SLE are:
1. INH
2. Hydralazine
3. Procainamide
4. All of these

Correct answer: 4. All of these